Salpingitis /Endosalpingitis is best confirmed by:
1. Marsupialisation Hysteroscopy + Laparascopy
2. X-ray
3. Hysterosalpingography
4. Sonosalpingography

Correct answer: 1. Marsupialisation Hysteroscopy + Laparascopy

Explanation: Both Hysteroscopy and laparoscopy cab give a confirmed diagnosis of salpingitis and endosalpingitis. Features of salpingitis such as pus extruding from the fimbrial end and adhesions can be visualized under direct laparoscopy. Although both the procedures cannot be used as a routine investigation, they are sure to confirm the diagnosis. Ref: Blaustein's Pathology of the Female Genital Tract By Ancel Blaustein, Robert J. Kurman; 5th edition, Pages 622-25; Shaw's Textbook of Gynaecology; 13th edition, Pages 417-28; Family Practice Guidelines By Jill C. Cash, Cheryl A. Glass; 347 -48